Shape of berbicks granules is -
1. Hockey stick
2. Bat
3. Ball
4. Tennis racket

Correct answer: 4. Tennis racket

Explanation: Birbeck granules are seen in langerhans cell histiocytosis. These are rod shaped structures having dilated tennis racket like terminal end. Reference : Harsh Mohan textbook of pathology, 7th edition.Pg no.365